If a conraceptive has failure rate of 15, how many unplanned pregnancies will the female have in her reproductive period.
1. 3.5
2. 4
3. 4.5
4. 5

Correct answer: 3. 4.5

Explanation: Ans. is 'c' i.e., 4.5 Failure rate per HWY =Total accidental pregnancies--------------------------Total months of exposurex 1200"A woman's reproductive period is roughly from 15 to 45 years, i.e a period of 30 years"------ Park24th/e - 521* Thus,15 =Total accidental pregnancies--------------------------30 x 12x 1200Total accidental pregnancies = 4.5